Child with pearly white papular lesions with dimple over face. Koebner 's phenomenon is positive. Diagnosis is
1. Erythema multiforme
2. Pityriasis rosea
3. Molluscum contagiosum
4. Acne vulgaris

Correct answer: 3. Molluscum contagiosum

Explanation: Among given options, only Molluscum contagiosum is associated with koebner's phenomenon. Molluscum contagiosum is a self limiting infection caused by Pox virus and transmitted by close skin to skin contact.The characteristic lesion is pearly white umbilicated dome-shaped papule in exposed areas ( hand, face) and charecteristic intracytoplasmic bodies. Penile pearly papules are flesh-colored or white, dome-shaped or filiform papules. Their size ranges from 1 mm to 4 mm. Pearly penile papules are arranged in rows around the corona of the glans penis, mainly on its dorsal aspect. .Molluscum contagiosum may be located on the penis as a sexually transmitted infection. Ref Harrison 20th edition pg 1267